Coomb's positive hemolysis is seen in -
1. TTP
2. SLE
3. ITP
4. PNH

Correct answer: 2. SLE

Explanation: Ans. is b' i.e., SLE AUTOIMMUNEHEMOLYTICANEMIA(LVIMUNOIHEMOLYTICANEMIA) Autoimmune hemolytic anemia is caused by autoantibodies directed against a red cell antigen. The diagnosis of immunohemolytic anemia requires the detection of antibodies and/or complement on patients red cells. o This is done by using Coomb's test, therefore these anemia are also called coomb's positive hemolytic anemia. According to the temprature at which antibody reacts with RBC, autoimmune hemolytic anemia can be divide into:? Warm antibody autoimmune hemolytic anemia Cold agglutinin autoimmune hemolytic anemia. Paroxysmal cold hemoglobinuria. Warm antibody autoimmune hemolytic anemia o This is the most common form of autoimmune hemolytic anemia. o Antibody react with RBC at 37degC. o Most causative antibodies are of the IgG class, Some times IgA antibodies are culprit. o IgG antibodies attach to red blood cells, leaving there Fc portion sticking out. o These antibody coated RBCs pass through spleen. o The Fc portion of antibody - RBC complex is recognized by Fc receptor on monocyte-macrophages. This results in phagocytosis of RBCs in the spleen Extravascular hemolysis Important causes of warm antibody autoimmune hemolytic anemia. o Autoimmune disorders SLE, RA, Ulcerative colitis, Scleroderma, Antiphospholipid antibodies. o Chronic lymphocytic leukemia (CLL) o Multiple myeloma o Hodgkin disease o Thymoma o Non-Hodgkin lymphoma o Drugs Methyldopa, penicillin, Cephalosporine, quinidine.